Most heat sensitive vaccine-
1. BCG
2. TT
3. OPV
4. Small pox

Correct answer: 3. OPV

Explanation: Ans. is 'c' i.e., OPV